Metastatic calcification is characterized by ?
1. Hypercalcemia
2. Hypocalcemia
3. Eucalcemia
4. None of the above

Correct answer: 1. Hypercalcemia

Explanation: Ans. is 'a' i.e., Hypercalcemia Pathologic calcifications Dystrophic calcification: Deposition of calcium at sites of cell injury and necrosis. Metastatic calcification: Deposition of calcium in normal tissues, caused by hypercalcemia (usually a consequence of parathyroid hormone excess)